Which is the site for urine extravasation in extra peritoneal bladder rupture?
1. Prevesical region
2. Groin
3. Paracolic gutter
4. None of the above

Correct answer: 1. Prevesical region

Explanation: The same is seen with bladder rupture and rupture of membranous urethra. Extraperitoneal bladder rupture is almost always associated with pelvic fractures. It is usually close to base of bladder anterolaterally. Subdivided into, Simple, with extravasation limited to perivesical space Complex, with extravasation extending to thigh, scrotum or perineum Extraperitoneal bladder rupture is the most common type. Occurs in 80% of bladder rupture cases. It is generally secondary to adjacent pelvic fracture or an avulsion tear at fixation points of puboprostatic ligaments. Extraperitoneal bladder rupture can be treated conservatively. Voiding cystourethrography historically been preferred contrast enhanced study for diagnosis of bladder rupture.